Cauliflower ear is:
1. Keloid
2. Perichondritis in Boxers
3. Squamous cell carcinoma
4. Anaplastic cell carcinoma

Correct answer: 2. Perichondritis in Boxers

Explanation: Cauliflower ear may occur when blood that collects in the outer ear after an injury isn't drained properly or becomes infected. Common causes include injuries from sports, such as wrestling, boxing, rugby or mixed martial arts. If the initial injury is ignored, cartilage in the outer ear may then overgrow, resulting in a bulbous deformity on the ear. Plastic surgery is necessary to restore the ear's shape.